Meningococci differ from gonococci in that they-
1. Are intra-cellular
2. Possess a capsule
3. Cause fermentation of glucose
4. Are oxidase positive

Correct answer: 2. Possess a capsule